A doctor receives commision from a medical representative for prescribing his drugs. This is a serious professional misconduct and is known as?
1. Covering
2. Adultery
3. Trichotomy
4. Dichotomy

Correct answer: 4. Dichotomy

Explanation: Dichotomy or fee-splitting is receiving or giving commission or other benefits to a professional colleague or manufacturer or trader in drugs or a chemist etc. Covering is assisting someone who has no medical qualification to attend, treat or perform an operation on some person in cases requiring professional discretion or skill. Adultery is the voluntary sexual intercouse between a married person, and a person married or not, other than his or her spouse. Ref: The Essentials of Forensic Medicine and Toxicology 29th Ed Page 23.